Which of the following is the investigation of choice for assessment of depth of penetration and perirectal nodes in rectal cancer -
1. Trans rectal ultrasound
2. CT Scan pelvis
3. MRI Scan
4. Double contrast Barium enema

Correct answer: 3. MRI Scan

Explanation: Ans. is 'c' i.e., M.R.I. Scan